Which of the following is the most common type of congenital cardiac cyanotic anomaly?
1. Tetralogy of Fallot
2. TAPVC
3. Transposition of great vessels
4. Ebstein's anamoly

Correct answer: 1. Tetralogy of Fallot

Explanation: TOF is the commonest cyanotic congenital heart disease(Refer: Nelson's Textbook of Pediatrics, SAE, 1st edition, pg no. 2213 - 2214)